Which is the most common congenital cardiac defect?
1. TAPVC
2. Transposition of great arteries
3. Ventricular septal defect
4. Atrial septal defect

Correct answer: 3. Ventricular septal defect

Explanation: Ans. is 'c' i.e., Ventricular septal defect o VSD is the most common congenital heart diseaseo TOF is the commonest cyanotic congenital heart disease